Inner subjective thought of a person towards an individual or situation is best termed as -
1. Attitude
2. Value
3. Belief
4. Opinion

Correct answer: 1. Attitude

Explanation: - an attitude has been defined as a relatively enduring organization of beliefs around an object, subject or concept which predisposes one to respond in some preferential manner. - these are acquired characteristics of an individual. Reference: Park's textbook of preventive and social medicine, 25th edition, pg no:732